Normal functional residual capacity is:
1. 2.3L
2. 1.3L
3. 2.9L
4. 4.5L

Correct answer: 1. 2.3L

Explanation: Ans. A. 2.3LLung Volumes MEN WOMENTotal lung capacity 6.4 L 4.9LFunctional residual capacity 2.2 L 2.6 LResidual volume 1.5 L 1.2 LInspiratory capacity 4.8 L 3.7 LExpiratory reserve volume 3.2 L 2.3 LVital capacity 1.7 L 1.4 L